Fungus not cultivable usually -
1. Rhinosporidium
2. Cryptococcus
3. Dermatophytes
4. Histoplasma

Correct answer: 1. Rhinosporidium

Explanation: Rhinosporidium seeberi has not been cultivated in media.